Potential candidate for high risk of GDM is. .
1. Young Primigravida
2. Unexplained perinatal loss
3. Presence of oligohydramnios
4. Previous low birth weight baby

Correct answer: 2. Unexplained perinatal loss

Explanation: High-risk of gestational diabetes History of stillbirth History of neonatal death History of fetal macrosomia Concomitant obesity and/or hypertension Diabetes in a first-degree relative Overweight before pregnancy Strong family history of type II DM Previous history of GDM